What is a xenograft:
1. Graft from 1 twin to other twin
2. Graft from 1 species to other species
3. Graft from father to other child
4. Graft from sister to brother

Correct answer: 2. Graft from 1 species to other species

Explanation: Ans. B: Graft from 1 species to other species Xenotransplantation is the transplantation of living cells, tissues or organs from one species to another, such as from pigs to humans. Such cells, tissues or organs are called xenografts or xenotransplants. In contrast, the term allotransplantation refers to a same-species transplant. Human xenotransplantation offers a potential treatment for end-stage organ failure, a significant health problem in parts of the industrialized world. It also raises many novel medical, legal and ethical issues. A continuing concern is that pigs have shorter lifespans than humans: their tissues age at a different rate. Disease transmission (xenozoonosis) and permanent alteration to the genetic code of animals are also causes for concern.